All of the following forms visceral relation of spleen EXCEPT:
1. Fundus of stomach
2. Left kidney
3. Splenic flexure of colon
4. Duodenum

Correct answer: 4. Duodenum

Explanation: Ans. (d) DuodenumRef : BDC 6th ed. vol. II / 303VISCERAL RELATIONS OF SPLEEN* Spleen forms visceral relation with the following nearby organs:# Fundus of the stomach# The anterior surface of the left kidney# Splenic flexure of the colon and# The tail of the pancreas